Proximal bronchiecstasis and segmental collapse in a petient with chronic persistent asthma should make us suspect
1. Atypical mycobacterial infection
2. Mycoplasma infection
3. Lymphangitis carcinomatosis
4. Allergic bronchopulmonary aspergillosis

Correct answer: 4. Allergic bronchopulmonary aspergillosis